According to "Integrated disease surveillance programme (IDSP)", which disease or condition does not come under regular surveillance?
1. Polio
2. Typhoid
3. Hepatitis - B
4. Road traffic accidents

Correct answer: 3. Hepatitis - B

Explanation: Regular surveillance 1. Malaria 2. Acute diarrheal disease (Cholera), 3. Typhoid 4. Tuberculosis 5. Measles 6. Polio 7. Road traffic accidents 8. Plague 9. Meningoencephalitis Ref : Park 23rd edition Pgno : 474